A 38-year-old homeless man who has not received any medical care in the last 20 years presents with 2 days of shortness of breath, chills, fever, drooling, painful swallowing, and a "croupy" cough. A physical examination reveals a bluish discoloration of his skin and a tough, gray membrane adhered to his pharynx. The underlying mechanism through which this disease affects normal cells is which one of the following?
1. DNA synthesis is inhibited in the target cells.
2. RNA synthesis is inhibited in the target cells.
3. The process of protein synthesis is inhibited in the target cells.
4. The plasma membrane becomes leaky in the target cells.

Correct answer: 3. The process of protein synthesis is inhibited in the target cells.

Explanation: The man has contracted diphtheria and needs the diphtheria antitoxin and then antibiotics to remove the offending organism, C. diphtheriae. Not having received medical care over the past 20 years, the patient has also missed his diphtheria vaccine, which should be received every 10 years. Diphtheria toxin blocks eukaryotic protein synthesis by phosphorylating an initiation factor, which inhibits protein synthesis in the cells. The toxin does not directly affect DNA or RNA synthesis, nor does it, as a primary target, reduce ATP production by the mitochondria or allow the plasma membrane to become leaky.